Action of adrenaline on which of the following receptor is not required in the treatment of analphylactic shock
1. α1
2. α2
3. β1
4. β2

Correct answer: 2. α2

Explanation: Action of adrenaline is necessary on:
α1 Receptors: To increase diastolic BP by vasoconstriction.
β1 receptors: To increase systolic BP by Cardiac stimulation.
β2 receptors: To cause bronchodilation & relieve bronchospasm.